Fundoscopic finding of retinal hemorrhage with white centre is known as?
1. Cotton wool spot
2. Flame shaped hemorrhage
3. Roth spot
4. Drussen

Correct answer: 3. Roth spot

Explanation: Answer- C. Roth spotRoth spots a retinal hemorrhages with white centres, the whitish element thought to be composed of coagulated fibrin in most cases.